All of the following are true about Kartagener's syndrome, Except
1. Dextrocardia
2. Infertility
3. Intellectual disability
4. Bronchiectasis

Correct answer: 3. Intellectual disability

Explanation: Answer is C (Intellectual disability):